After a hypophysectomy, vasopressin is given IM for which of the following reasons?
1. To treat growth failure
2. To prevent syndrome of inappropriate antidiuretic hormone (SIADH)
3. To reduce cerebral edema and lower intracranial pressure
4. To replace antidiuretic hormone (ADH) normally secreted by the pituitary.

Correct answer: 4. To replace antidiuretic hormone (ADH) normally secreted by the pituitary.

Explanation: After hypophysectomy or removal of the pituitary gland, the body can’t synthesize ADH.

Option A: Somatropin or growth hormone, not Vasopressin is used to treat growth failure.
Option B: SIADH results from excessive ADH secretion.
Option C: Mannitol or corticosteroids are used to decrease cerebral edema.